All are true about thymus gland except
1. Hassall's corpuscles are highly
2. Histology varies with age
3. Thymic corpuscles are seen in cortex
4. Medulla has more reticular cells

Correct answer: 3. Thymic corpuscles are seen in cortex

Explanation: C. i.e. Thymic corpuscles are seen in cortex